The transmission of filariasis is an example of
1. Propagative transmission
2. Cyclo-developmental transmission
3. Cyclical transmission
4. Cyclo-propagative transmission

Correct answer: 2. Cyclo-developmental transmission